The structure derived from the right forth aortic arch?
1. Right common carotid artery
2. Right subclavian artery
3. Aortic arch
4. None of the above

Correct answer: 2. Right subclavian artery

Explanation: B i.e. Right subclavian artery